Stress-induced analgesia occurs due to release of which of the following?
1. Cannabinoids
2. Cortisol
3. Serotonin
4. Substance P

Correct answer: 1. Cannabinoids

Explanation: Stress-induced analgesia: It is the reduced pain sensitivity when a person undergoes any stressful event. Eg. Soldiers injured in battle often don't feel any pain until the battle is over. Amygdala is a part of the limbic system. It is responsible for mediating the motivational-affective responses to pain and is involved in stress induced analgesia. Stress-induced analgesia occurs due to release of endogenous cannabinoids, eg. 2-arachidonoylglycerol (2-AG) and anandamide They act CB receptors: CB1 receptor -- Associated with euphoria. CB2 receptor -- Associated with control of pain. Release of Norepinephrine from brainstem catecholaminergic neurons in the amygdala also leads to stress induced analgesia.